All of the following are decreased in nephrotic syndrome, except-
1. Serum transferrin
2. Serum fibrinogen
3. Serum ceruloplasmin
4. Serum albumin

Correct answer: 2. Serum fibrinogen

Explanation: Ans. is 'b' i.e., Serum Fibrinogen Fibrinogen level is increased in nephrotic syndrome d/t increased hepatic synthesis of fibrinogen. o The largest proportion of protein lost in urine is albumin. o Sometimes, globulins can also be excreted -4 Immunoglobulin excretion increases the susceptibility of infection. o Other proteins which are decreased - Transferrin ---> Microcytic hypochromic anemia. Cholecalciferol binding protein --> hypocalcemia Thyroxine binding globulin --> decreased thyroxine level. Antithrombin III --> hypercoagulability Ceruloplasmin